The most effective drug in the treatment of sub-corneal pustular dermatosis?
1. Azithromycin
2. Dapsone
3. Chloroquine
4. Cyclosporine

Correct answer: 2. Dapsone

Explanation: Subcorneal Pustular Dermatosis (Sneddon-Wilkinson disease) It is a rare, benign, chronic relapsing sterile pustular eruption typically involving the flexural sites of the trunk and proximal extremities Rx: Dapsone is the treatment of choice. Response is slow, with resolution usually occurring in about 4 weeks. Acitretin is also used and is an alternative for patients unresponsive to Dapsone. Phototherapy with psoralen with UVA, broadband UVB, and narrowband UVB alone or in combination with dapsone and/or retinoids